Traingle of Doom is bounded by all of the following except
1. Cooper's ligament
2. Vas deferens
3. Gonadal vessels
4. Peritoneal reflection

Correct answer: 1. Cooper's ligament

Explanation: Triangle of Doom is bounded by the ductus deferens medially, gonadal vessels laterally and peritoneal reflection inferiorly in the male and the apex of the triangle is at the level of internal inguinal ring. Importance: External iliac artery and vein, femoral nerve are located in the triangle and so stapling is avoided in this triangle while doing laparoscopic preperitoneal repair for hernia. Reference : page 766 SRB's manual of surgery 5th edition